Which taste sensation is the most sensitive (i.e., has the lowest stimulation threshold)?
1. Acid
2. Bitter
3. Salty
4. Sour

Correct answer: 2. Bitter

Explanation: The bitter taste sense is much more sensitive than the other sensations because it provides an important protective function against many dangerous toxins in food.